All the following statement about clozapine are true except -
1. It is used in schizophrenia
2. May precipitate seizure
3. May cause agranulocytosis
4. Extrapyramidal side effects are seen

Correct answer: 4. Extrapyramidal side effects are seen

Explanation: Clozapine 

It blocks D4, 5-HT, and α-adrenergic receptors.
Despite of anticholinergic property, it causes hypersalivation.
It also blocks H1-histaminic receptors.
The important side effects are agranulocytosis & myocarditis.
It can induce seizures even in nonepileptics.
It causes weight gain and precipitation of diabetes.
It does not produce extrapyramidal side effects.